Dura Mater derives its name from
1. Leather like appearance
2. Double layered mother
3. Tender mother
4. Tough mother

Correct answer: 4. Tough mother

Explanation: (D) Tough mother # Dura mater, or dura, is the outermost of the three layers of the meninges surrounding the brain and spinal cord.> It is derived from Mesoderm.> Other two meningeal layers are the pia mater and the arachnoid mater.> Dura surrounds the brain and the spinal cord and is responsible for keeping in the cerebrospinal fluid.> Name "dura mater" is derived from the Latin "hard mother" or "tough mother", and is also referred to by the term "pachy-meninx".